An individual who runs a methanol liquor racket and dives the effluent into a pond, which people use. He is punishable under ___ IPC:-
1. 284
2. 304 A
3. 320
4. 176

Correct answer: 1. 284

Explanation: S. 284: Negligent conduct with respect to poisonous substance Whoever does, with any poisonous substance, any act in a manner so rash or negligent as to endanger human life knowingly or negligently Omits to take such order with any poisonous substance in his possession as is sufficient to guard against probable danger to human life from such poisonous substance He shall be punished with imprisonment of either description for a term which may extend to six months, or with fine which may extend to one thousand rupees, or with both. also know: Hooch' is a term used for spurious alcoholic preparations. Consumption of such liquor preparations (also called 'Laththa') is harmful or fatal. ... Outbreak of 'hooch'tragediesespecially in the villages or slum areas are recorded because the spurious liquors are inexpensive and potent.